Denosumab is a monoclonal antibody used for the treatment of:
1. Osteomalacia
2. Osteoarthritis
3. Osteoporosis
4. Breast carcinoma

Correct answer: 3. Osteoporosis

Explanation: Denosumab is a monoclonal antibody against RANK - ligand which inhibits binding to RANK receptor and inhibits the activation of osteoclasts and inhibits bone resorption so it is used in treatment of Osteoporosis.